Effect of environment on genes is called?
1. Positive Eugenics
2. Negative Eugenics
3. Euthenics
4. Enthenics

Correct answer: 3. Euthenics

Explanation: Ans. is 'c' i.e., Euthenics Eugenics Science which aims to improve the genetic endoment of human population. o That is improving the quality of the human species or a human population by genetic manipulation. o Eugenis may be : 1. Negative Discouraging reproduction by persons having genetic defect or presumed to have inheritable undesirable traits this includes abortions, sterilization & other methods family planing. 2. Postive Eugenics -> Encouraging reproduction presumed to have inheritable desirable trait. For example, in vitro-fertilization, cloning, egg transplantation etc. Euthenick Euthenics deal with human improvement through altering the external environment (environmental manipulation). It includes education, prevention and removal of contagious disease and parasites, education regarding home economics, sanitation and housing.